Limbs elevated against gravity but not against force is which power
1. Grade I
2. Grade II
3. Grade III
4. Grade IV

Correct answer: 3. Grade III

Explanation: Evaluation of strength of musclesThe strength of a muscle is graded from 0 to 5 follows:0, zero-no contraction1, trace-palpable contraction only2, poor-moves joint but not against gravity3, fair-moves joint against gravity4, good-moves joint against gravity and resistance5, Normal-normal strength(Refer: Mohindra's Fundamentals of Orthopedics, 2nd edition)